Which of the following antimalarial agents is most commonly associated with acute hemolytic reaction in patients with glucose–6–phosphate dehydrogenase deficiency
1. Chloroquine
2. Clindamycin
3. Mefloquine
4. Primaquine

Correct answer: 4. Primaquine